Weight gain Is seen In all except-
1. Cushings syndrome
2. Hypothyroidism
3. Pheochromocytoma
4. Insulinoma

Correct answer: 3. Pheochromocytoma

Explanation: In pheochromocytoma, the child has a good appetite but because of the hypermetabolic state does not gain weight, and severe cachexia may develop. Page 1942, Nelson textbook of pediatrics 19th edition